Uterine contractions are clinically palpable when there intensity is more than?
1. 10mmHg
2. 15mm Hg
3. 20mmHg
4. 40mm Hg

Correct answer: 1. 10mmHg

Explanation: Uterine contractions are palpable when intensity exceeds 10 mmHg Uterine contractions become painful when intensity exceeds 15 mmHg Intrauterine pressure at which uterus becomes hard that it cannot be indented by figure -40 mmHg. Ref: Williams Obs 24e pg 498.